Burkitt's lymphoma is associated with which of the following gene anomaly -
1. t (9:22)
2. del. 5q
3. t (8:14)
4. t (17:15)

Correct answer: 3. t (8:14)

Explanation: Ans. is 'C' i.e., t(8:14) o t(8:14) is the most common translocation seen in association with Burkitt's Lymphoma. # Demonstration of very high proliferative fraction and the presence of the t (8:14) or one of its variants t (2:8) or t(8:22) can be confirmatory of Burkiti s lymphoma/leukemia Translocation in Burkitt's Lymphoma Burkitts lymphoma/leukemias are associated with reciprocal translocations involving the c-myc gene on chromosome 8 | | | Most common translocation (70%cases) Less common translocations t (8:14): c- may gene on chromosome 8 and lgH heavy chain on chromosome 14 t (8 : 22) c- myc gene on chromosome 8 and l-light chain on chromossome 22 t (2 :8): c- mye gene on chromosome 8 and k-light chain on chromosome -2